Which of the following is seen at high altitude:
1. Low PaO2
2. High PaO2
3. Normal PaO2
4. High PaCO2, Low PaO2

Correct answer: 1. Low PaO2

Explanation: Ans. A: Low PaO2 With increasing altitude, barometric pressure decreases, so the total pressure of the air decreases and pH2O and pCO2 remains constant So p02 and pN2 decreases progressively with height High-altitude illness Usually occurs at altitudes of over 1,500 m (4,921 ft) Caused primarily by hypoxia but is compounded by cold and exposure. Hypoxia is the main contributor to high-altitude illness. Atmospheric pressure and the partial pressure of oxygen decrease rapidly at increasing levels above the earth's surface pCO2 and pH2O remain constant, pN2 also decreases It presents as one of three forms: acute mountain sickness (AMS), high-altitude pulmonary edema (HAPE) and high-altitude cerebral edema (HACE). Cardinal symptoms include dyspnea on exertion and at rest, cough, nausea, difficulty sleeping, headache and mental status changes. Treatment requires descent, and gradual acclimatization provides the most effective prevention. Acetazolamide is an effective preventive aid and can be used in certain conditions as treatment.